Suprarenal medulla secretes which hormones:
1. Glucocorticosteroids
2. Catecholamines
3. Androgens
4. Mineralocorticoids

Correct answer: 2. Catecholamines

Explanation: Ans. B: CatecholaminesNorepinephrine, epinephrine, and dopamine are secreted by the adrenal medulla.Cats and some other species secrete mainly norepinephrine, but in dogs and humans, most of the catecholamine output in the adrenal vein is epinephrine.Norepinephrine also enters the circulation from noradrenergic nerve endings.Glucocorticosteroids, Androgens and Mineralocorticoids are secreted by adrenal cortex.